The ideal dimension for the luting agent space is
1. 0-20 microns
2. 20-40 microns
3. 40-80 microns
4. 80-120 microns

Correct answer: 2. 20-40 microns